Absence of Lamina cribrosa occurs in
1. Optic nerve hypoplasia agenesis
2. Morning glory syndrome
3. Drusen
4. Non opthalmia

Correct answer: 2. Morning glory syndrome

Explanation: B i.e. Morning glory syndrome